All of the following are schneider first symptoms except -
1. Hallucination
2. Delusion
3. Passivity phenomenon
4. Elation

Correct answer: 4. Elation